A 60-year-old woman has a history of being treated for endometrial cancer with surgery and radiation 5 years ago. She now presents with a large necrotic tumor that follows the course of the sciatic nerve. Which of the following is the most likely diagnosis
1. Malignant peripheral nerve sheath tumor
2. Solitary neurofibroma
3. Neurofibromatosis type 2
4. Schwannoma

Correct answer: 1. Malignant peripheral nerve sheath tumor

Explanation: The development of a necrotic tumor involving a peripheral nerve in an area that was irradiated previously is characteristic of a malignant peripheral nerve sheath tumor. Ref:- Harsha Mohan textbook of Pathology